On autopsy, fine froth was found in the resp. tract, nose and mouth. Likely cause of death
1. Drowning
2. Hanging
3. Strangulation
4. Tooth paste poisoning

Correct answer: 1. Drowning

Explanation: Ans. is 'a' i.e. Drowning The fine froth at the mouth and nose is pathognomic of drowning. It is white or rarely blood stained, lather like, abundant and increases in amount with compressions of the chest; even if wiped away it gradually reappears, especially if pressure is applied to chest.The presence of weeds, mud, sand etc. in the tightly clenched hand, when present is also indicative of death from drowning as it indicates the victim s struggle for life.Froth at mouth and in respiratory tract is also found in certain poisonings as given below but in these cases the froth is neither so Fine nor so copious and persistent and none of the typical signs of drowning are present. eg. Opioids Cocaine BarbituratesOrganophosphorus compounds.